Order of neurovascular bundle in the femoral triangle from medial to lateral
1. Nerve, artery, vein
2. Vein, Artery, Nerve
3. Artery, Vein, Nerve
4. Nerve, Vein, Artery

Correct answer: 2. Vein, Artery, Nerve

Explanation: (B) Vein, Artery, Nerve # FEMORAL TRIANGLE: This is a clinically important triangular subfascial space in the superomedial one-third part of the thigh. It appears as a depression inferior to the inguinal ligament when the thigh is actively flexed at the hip joint. Its main contents are the femoral vessels and the femoral nerve.> Boundaries of the Femoral Triangle: Superiorly by the inguinal ligament. Medially by the medial border of the adductor longus muscle. Laterally by the medial border of the sartorius muscle. Muscular floor of the femoral triangle is not flat but gutter-shaped Formed from medial to lateral by the adductor longus, pectineus, and the iliopsoas. It is the juxtaposition of the iliopsoas and pectineus muscles that forms the deep gutter in the muscular floor. Roof of the femoral triangle is formed by the fascia lata, which includes the cribriform fascia.> Contents of the Femoral Triangle: This triangular space in the anterior aspect of the thigh contains Medial to Lateral: Vein-Artery-Nerve (VAN) the femoral Vein and its tributaries, the femoral Artery (femoral artery in femoral triangle) and its branches, the femoral Nerve and its branches, the lateral cutaneous nerve, the femoral branch of the genitofemoral nerve, lymphatic vessels, and some inguinal lymph nodes.